Nerve supply for external ear are all Except
1. Greater occipital nerve
2. Greater auricular nerve
3. Auriculotemporal nerve
4. Lesser occipital nerve

Correct answer: 1. Greater occipital nerve

Explanation: The greater auricular nerve supplies medial surface of the pinna and posterior part of the lateral surface. lesser occipital supply upper part of the medial surface and auriculotemporal supplies tragus, crus of the helix and adjacent part of the helix.Reference: Dhingra 6th edition.